Samter's triad includes all, EXCEPT:
1. Tinnitus
2. Asthma
3. Aspirin sensitivity
4. Nasal polyposis

Correct answer: 1. Tinnitus

Explanation: Samter's triad consist of nasal polyp, asthma, aspirin intolerance. 36% of patients who show aspirin intolerance may show polyp.